In otosclerosis during stapes surgery prosthesis used is:
1. Teflon piston
2. Grommet
3. Total ossiculear replacement
4. All of the above

Correct answer: 1. Teflon piston

Explanation: Ans. is a i.e. Teflon piston The currently used prosthesis in otosclerosis surgery are: Teflon (M/C used) Stainless steel Platinum -- All are MRI compatible Gold Titanium The prosthesis is placed between the long process of incus and foot plate of stapes